Mutation in COL4A5 chain is related to -
1. Alport's syndrome
2. Good Pasture's syndrome
3. Hereditary Non-poplyposis colon cancer
4. Keroderma pigmentosum

Correct answer: 1. Alport's syndrome

Explanation: . Alport's syndrome